Palivizumab, a monoclonal antibody is used for the prophylaxis of:
1. Human metapneumovirus
2. Para-influenza virus type 2 and 4
3. Influenza virus
4. Respiratory syncytial virus

Correct answer: 4. Respiratory syncytial virus

Explanation: Ans. (D) Respiratory syncytial virus(Katzung 13th/863)Palivizumab is a monoclonal antibody produced by recombinant DNA technology. It is used in the prevention of respiratory syncytial virus (RSV) infections.